Estimated mean Hemoglobin (I-lb) of 100 women is 10g%. Standard deviation (a) is lgm%. Standard error of estimate will be -
1. 0.001
2. 1
3. 10
4. 0.1

Correct answer: 4. 0.1

Explanation: Ans. is 'd' i.e., 0.1 oRT Standard error of mean is calculated as Standard Deviation/ VT1; where 'n' is the total number of values within the sample. Thus the standard error of mean hemoglobin from the above sample would be (1.0/ Vioo ) or 1/10 or 0.1.